All cause malabsorption except aEUR'
1. Giardiasis
2. Ascaris lumbricoides
3. Strongyloides
4. Capillaria phillipinesis

Correct answer: 2. Ascaris lumbricoides

Explanation: Ascaris lumbricoides Repeat from May 10 Q no.81